Abnormal base in tRNA is
1. Dihydrouracil
2. Orotic acid
3. Methyl Xanthine
4. Cystine

Correct answer: 1. Dihydrouracil

Explanation: The D Arm or DHU region is so named due to the presence of a dihydrouridine in that areaThe DHU arm serves as the recognition site for the enzyme which adds the amino acidRef: DM Vasudevan, 7th edition, page no: 597